Clue cell is seen in?
1. Bacterial vaginosis
2. Candida
3. Trichomonas vaginalis
4. Condylomatous was

Correct answer: 1. Bacterial vaginosis

Explanation: Essentials of Diagnosis for Bacterial Vaginosis: Homogeneous vaginal discharge Amine (fishy) odor when potassium hydroxide solution is added to vaginal secretions (commonly called the "whiff test"). Presence of clue cells (>20% of epithelial cells) on microscopy. Clue cells are identified as numerous stippled or granulated epithelial cells. This appearance is caused by the adherence of G vaginalis organisms to the edges of the vaginal epithelial cells. Vaginal pH >4.5 Decrease in lactobacillus, small gram-variable rods, or curved gram-variable rods in gram-stained smear. Ref: Bornstein J. (2013). Chapter 39. Benign Disorders of the Vulva & Vagina. In A.H. DeCherney, L. Nathan, N. Laufer, A.S. Roman (Eds), CURRENT Diagnosis & Treatment: Obstetrics & Gynecology, 11e.